Sputum is disinfected by -
1. Filteration
2. Hypochloride
3. Incineaion
4. Ionizing radiation

Correct answer: 3. Incineaion

Explanation: Disinfection of sputum is by incineration.incineration is a high temperature dry oxidation process,that reduce organic and combustible waste ti inorganic incombustible matter.REF.PARKS TEXTBOOK OF PREVENTIVE AND SOCIAL MEDICINE 21 edition. PAGE NO-731,743)